Contraindication to DPT is all except –
1. Local reaction to previous DPT
2. High fever after previous dose
3. Infantile spasms
4. Seizures after previous dose

Correct answer: 1. Local reaction to previous DPT